Intranasal calcitonin is given in ?
1. Pagets's disease
2. MEN syndrome
3. Hypercalcemia
4. Post menopausal osteoporosis

Correct answer: 4. Post menopausal osteoporosis

Explanation: Ans. is 'd' i.e., Post menopausal osteoporosis o Salmon calcitonin is approved for clinical use. The latter product also is available as a nasal spray, introduced for once-daily treatment of postmenopausal osteoporosis. o For Paget c disease, calcitonin generally is administered by subcutaneous injection because intranasal delivery is relatively ineffective owing to limited bioavailability.